Longest acting thiazide diuretic is:
1. Chlorthiazide
2. Chlorthalidone
3. Indapamide
4. Metolazone

Correct answer: 2. Chlorthalidone

Explanation: Chlorthiazide : Shortest acting
Chlorthalidone : Longest acting